Therapeutic drug monitoring is required in all except:
1. Phenytoin
2. Metformin
3. Tacrolimus
4. Cyclosporine

Correct answer: 2. Metformin

Explanation: Ans. (B) Metformin(Ref: KDT 8th/e p42)* We can easily monitor blood glucose levels as an effect of metformin, thus TDM is not required.* TDM is required for lithium, digitalis, phenytoin, immunosuppressants and anti-arrhythmics, etc.